Corneal transplantation:
1. Donor >60 years not allowed
2. Whole eye preserved in culture
3. Specular microscopy done for corneal endothelial count
4. HLA matching required

Correct answer: 3. Specular microscopy done for corneal endothelial count

Explanation: Ans. Specular microscopy done for corneal endothelial count